Distance of macula from optic disc is:
1. 1 mm
2. 2 mm
3. 2.5 mm
4. 4 mm

Correct answer: 4. 4 mm